Odynophagia is
1. Pain during swallowing
2. Difficulty in swallowing
3. Bad odour from mouth
4. Psychiatric disease

Correct answer: 1. Pain during swallowing

Explanation: Dysphagia is difficulty in swallowing. The term odynophagia is used when swallowing causes pain. The latter is more marked in ulcerative and inflammatory lesions of food passages - oral cavity, oropharynx and oesophagus. (Ref: Textbook of diseases of ENT, PL Dhingra, 7th edition, pg no. 393)